Infection of CNS spread in inner ear is through:
1. Cochlear aqueduct
2. Endolymphatic sac
3. Vestibular aqueduct
4. Hyrtl fissure

Correct answer: 1. Cochlear aqueduct

Explanation: Cochlear aqueduct (Aqueduct of Cochlea) is a connection between scala tympani (containing perilymph) and the subarachnoid space (containing CSF). On occassions, particularly in young children, the Cochlear aqueduct is large and open.Infection can spread to the inner ear from the infected CSF or vice versa, the cochlear aqueduct resulting in severe profound hearing loss (meningitic labyrinthitis).